Vitamin A should be started at the age of :-
1. 2 months
2. 9 months
3. 5-6 years
4. None of the above

Correct answer: 2. 9 months

Explanation: - Accordong to NIS Vit A should be started at the age of 9 months & from then, should be given for every 6 months till 5yrs of age. - Hence, totally 9 doses of Vit A is given; i.e 17 lakh IU.